Which of the following is false statement about vitreous?
1. Anatomically, vitreous is present in anterior segment
2. Vitreous largely contain water and hyaluronic acid
3. Strongest attachment of vitreous base is at ora serrata
4. Vitreous is attached anteriorly to the lens

Correct answer: 1. Anatomically, vitreous is present in anterior segment

Explanation: Ans. is 'a' i.e., Anatomically, vitreous is present in anterior segment * Vitreous is present in posterior segment of eye.* Vitreous humor is a jelly like fluid liquid that fills most (80%) of the eye (from the lens back, i.e., in the posterior segment). The vitreous consists largely of water (99%), a network of collagen fibrils, large molecules of hyaluronic acid, peripheral cells (hyalocytes), and mucopolysaccharides, forming a gel - like material. There is a potential space between vitreous and retina, called subhyaloid space. As we age, vitreous changes from a gel to a liquid and gradually shrinks separating from the retina. This is when people start seeing floaters (black spots in front of the eye).* Vitreous is attached anteriorly to the lens (Hyloid capsular ligament of Wieger) and ciliary epithelium in front of the ora serrata. The part of vitreous about 4 mm across the ora serrata is known as the "base of vitreous" where the attachement is strongest. Posteriorly vitreous is attached to the edge of the optic disc and macula lutea (foveal region) forming ring shaped structure around them.